First sign of wound injury is
1. Epithelization
2. Dilatation of capillary
3. Leukocyte infiltration
4. Locatised odema

Correct answer: 2. Dilatation of capillary

Explanation: ref Robbins 8/e p46 ,102 ; 7/e p107,9/e p106 Some redness is normal at the wound site, but it should diminish over time. However, if your surgical incision or wound continues to be red or exhibit radiating streaks known as lymphangitis, this is a warning sign of awound infection .red Ness due to vasodilation